Sickle cell anemia is the clinical manifestation of homozygous genes for an abnormal haemoglobin molecule. The event responsible for the mutation in the B chain is -
1. Insertion
2. Deletion
3. Non disj unction
4. Point mutation

Correct answer: 4. Point mutation

Explanation: D i.e. point mutation